Hypokalemia is likely to be seen in
1. Insulin therapy
2. Addison's disease
3. Starvation ketosis
4. Hemolytic anemias

Correct answer: 1. Insulin therapy